Which of the following can cause endothrix (Black dot)
 i. Trichophyton violaceum 
 ii. Trichophyton tonsurans 
 iii. Trichophyton veruccosum 
 iv. Microsporum canis
1. i
2. i & ii
3. i, ii & iii
4. i, ii, iii & iv

Correct answer: 2. i & ii

Explanation: Endothrix:T.tonsurans T. violaceum, 
Ectothrix: M. canis.